Vitamin B12 deficiency can lead to all EXCEPT:
1. Myopathy
2. Peripheral neuropathy
3. Optic atrophy
4. Myelopathy

Correct answer: 1. Myopathy

Explanation: Myelin formation requires B12 If B12| - myelination | | So, 1) Peripheral neuropathy 2) Optic atrophy 3) Myelopathy But Not Myopathy 4) SACD spinal cord (Sub-acute combine degeneration of spinal cord)